All are alkylating agents except:
1. Cyclophosphamide
2. Lomustine
3. Busulfan
4. Zalcitabine

Correct answer: 4. Zalcitabine

Explanation: ANTICANCER DRUGS: CLASSI FICATION A. Drugs acting directly on cells (Cytotoxic drugs) 1. Alkylating agents Nitrogen mustards: Mechlorethamine (Mustine HCl) Cyclophosphamide, Ifosfamide, Chlorambucil, Melphalan Ethylenimine : Thio-TEPA Alkyl sulfonate : Busulfan Nitrosoureas :Carmustine (BCNU), Lomustine (CCNU) Triazine :Dacarbazine (OTIC) 2. Antimetabolites Folate antagonist:Methotrexate (Mtx) Purine antagonist:6-Mercaptopurine (6-MP), 6-Thioguanine (6-TG), Azathioprine, Fludarabine Pyrimidine antagonist:5-Fluorouracil (5-FU), Cytarabine (cytosine arabinoside) 3. Vinca alkaloids:Vincristine (Oncovin), Vinblastine 4. Taxanes :Paclitaxel, Docetaxel 5. Epipodophyllotoxins:Etoposide 6. Camptothecin analogues:Topotecan, Irinotecan 7. Antibiotics: Actinomycin D (Dactinomycin) Doxorubicin Daunorubicin (Rubidomycin) Mitoxantrone Bleomycins, Mitomycin C 8. Miscellaneous:Hydroxyurea, Procarbazine, L-Asparaginase, Cisplatin Carboplatin Imatinib B. Drugs altering hormonal milieu 1 . Glucocorticoids: Prednisolone and others 2. Estrogens: Fosfestrol,Ethinylestradiol 3. Selective estrogen receptor modulators : Tamoxifen, Toremifene 4.Selective estrogen receptor down regulators: Fulvestrant 5. Aromatase inhibitors: Letrozole, Anastrozole,Exemestane 6. Antiandrogen: Flutamide,Bicalutamide 7. 5-alpha reductase inhibitor: Finasteride,Dutasteride 8. GnRH analogues: Nafarelin,Triptorelin 9. Progestins: Hydroxyprogesterone acetate, etc. ESSENTIALS OF MEDICAL PHARMACOLOGY K.D.TRIPATHI SIXTH EDITION PAGE NO:819,820